Which of the following vaccine should not be given during pregnancy?
1. HBV
2. Measles, mumps, rubella
3. Typhoid
4. Cholera

Correct answer: 2. Measles, mumps, rubella

Explanation: .such live attenuated viral vaccines are not given during pregnancy and other immunocompromised states. ref:park's textbook,22 nd ed,pg 132